Raghu ram, a 32 years old biker sustained injury over his left hip joint. X-ray revealed a posterior dislocation of the right hip joint. The clinical attitude of the affected lower limb will be:
1. External rotation, extension & abduction
2. Internal rotation, flexion & adduction
3. Internal rotation, extension & abduction
4. External rotation, flexion & abduction

Correct answer: 2. Internal rotation, flexion & adduction

Explanation: Hip Dislocation: Anterior dislocation of hip Posterior dislocation of hip(M/C type) - FABER (flexion, abduction, external rotation) - FADIR(flexion, adduction, internal rotation) - Hip (femoral head) is lower than the joint in femoral area - Hip (Femoral head) is at the level of the joint - Limb-Lengthening - Shortening